Giving commission to other doctor is
1. Dichotomy
2. Covering
3. Professional secrecy
4. Professional neglect

Correct answer: 1. Dichotomy

Explanation: Ans. a (Dichotomy). (Ref. Textbook of FMT by Parikh-5th ed. 558)Dichotomy is giving commission to the other doctor for favouring or referring the patient, recommending or procuring any patient for medical, surgical or other treatment (fee-sharing).Covering is a RMP protecting a non-medical person who practices medicine.